Direction of Nasolacrimal duct is:
1. Downward,backward and medially
2. Downward,backward and laterally
3. Downward,forward and medially
4. Downward,forward and laterally

Correct answer: 2. Downward,backward and laterally

Explanation: Nasolacrimal duct is q membranous passage which begins at the lower end of the lacrimal sac. It runs downward,backward and laterally and opens in the inferior meatus of the nose. A fold of mucous membrane called the valve of Hasner forms an imperfect value at the lower end of the duct. Ref: Dhingra 6/e,135.